A patient presented with acute abdominal pain. On clinical suspicion the pt. underwent cholecystectomy. On histopathological examination the finding is normal. The gallbladder epithelium will be?
1. Squamous epithelium
2. Simple columnar with brush border
3. Simple columnar
4. Simple columnar with sterocilia

Correct answer: 2. Simple columnar with brush border

Explanation: Columnar epithelium with a striated border is seen most typically in the small intestine, and with a brush border in the gall bladder.